Millard's 'Rule of Ten' includes all except -
1. 10 lbs
2. 10 weeks
3. 10 gm % Hemoglobin
4. 10 months

Correct answer: 4. 10 months

Explanation: Ans- D Rule often is the criteria used to judge the "readiness" of an infant for surgical repair of a cleft lip. The infant must weigh 10 Ib; be 10 weeks old; have a hemoglobin value of 10gm/dl and have a WBC count < 10,000.